Content of citrate in ORS is...............millimoles ?
1. 20
2. 25
3. 30
4. None

Correct answer: 4. None

Explanation: Ans. is 'None' o Correct answer is 10.m mol/litere or 30 meq/litre.